Rate of mineralization of newly formed osteoid can be estimated by the following:
1. Von Kossa staining for calcium
2. Alzarin red stain
3. Labelled tetracycline
4. Immunofluorescence

Correct answer: 3. Labelled tetracycline

Explanation: Tetracycline -becomes fixed in new forming mineralizing bone, exhibits a characteristic fluorescence when viewed by UV light 2 doses of tetracycline given a few of days apart, 2 bands of fluorescence- separated by an interval of unlabelled new bone formed during the period between doses. Rate of mineralization of newly formed osteoid is estimated by tetracycline labelling